Serum angiotensin converting enzyme may be raised in all of the following,except -
1. Sarcoidosis
2. Silicosis
3. Berylliosis
4. Bronchogenic carcinoma

Correct answer: 4. Bronchogenic carcinoma